In a town with population of 100,000 the number of slides examined is 5000. Out of these, 100 slides were postive for malaria. The API is?
1. 2
2. 5
3. 1
4. 0.5

Correct answer: 3. 1

Explanation: Annual parasite incodence = Confirmed cases during 1 year / population under surveillance x 1000 ie 100/ 100000 x 1000 = 1% Reference; Park's Textbook of preventive and social medicine, 24th edition.Pg no. 278